Following result after chronic edema to legs EXCEPT?
1. Marjolins ulcer
2. Thickening of skin
3. Soft tissue infections
4. Varicose veins

Correct answer: 4. Varicose veins

Explanation: Ans. (d) Varicose veinsRef: Bailey & Love 26th ed. / 593/903* Varicose veins are a cause of chronic leg edema and not a result of chronic leg edema.* Edema is defined as a palpable swelling caused by an -increase in interstitial fluid volume. The most likely cause of leg edema in patients over age 50 is venous insufficiency. Venous insufficiency affects up to 30% of the populationywhereas heart failure affects only approximately 1%. The most likely cause of leg edema in women under age 50 is idiopathic edemay formerly known as cyclic edema. Pulmonary hypertension and early heart failure can both cause leg edema before they become clinically obvious in other ways.* Marjolin's ulcer refers to an aggressive ulcerating squamous cell carcinoma presenting in an area of previously traumatized, chronically inflamed, or scarred skin. Histologically, the tumor is a well-differentiated squamous cell carcinoma. This carcinoma is aggressive in nature, spreads locally and is associated with a poor prognosis. Its edge is everted and not always raised.* The IOC is a wedge biopsy.